Which of the following represents an appropriate management of Perthe's disease in a young patient?
1. Total hip replacement
2. Exercise
3. High dose calcium
4. Making sure that the femoral head remains in the acetabulum

Correct answer: 4. Making sure that the femoral head remains in the acetabulum

Explanation: Here the aim is to prevent injury to the femoral head while it is soft. If the head remains in the acetabulum it will gradually revascularise.